A patient has Bullous Lesion; on Tzank smear
1. Langerhans cells are seen
2. Acontholysis
3. Leucocytosis
4. Absence of melanin pigment

Correct answer: 2. Acontholysis

Explanation: B i.e. Acantholysis